ANCA is NOT associated with which of the following diseases :
1. Wegener's granulomatosis
2. Henoch schonlein purpura
3. Microscopic PAN
4. Churg Strauss syndrome

Correct answer: 2. Henoch schonlein purpura

Explanation: Answer is B (H.S. Purpura) : H.S. purpura is not associated with any antinuclear cytoplasmic antibody (ANCA). It is an example of ANCA negative vasculitis. ANCA (Antineutrophilic cytoplasmic Antibodies) arc Antibodies directed against certain proteins in cytoplasmic granules of Neutrophil & monocytes. These are two major categories of ANCA based on different targets for the antibodies. ANCA (Antineutrophic cytoplasmic antibodies): ANCA is of 2 types C-ANCA (Cytoplasmic proteinase 3q is the target antigen) Wegeners Granulomatosisq (90-95%) P-ANCA (perinuclear myeloperoxidaseQ is the major target antigen) Microscopic PAN (microscopic polyangitis) Churg-Strauss syndrome Crescenteric glomerulonephritise Good pasteur's syndrome